Normal portal vein pressure is:
1. <3 mm Hg
2. 3-5 mm Hg
3. 5-10 mm Hg
4. 10-12 mm Hg

Correct answer: 3. 5-10 mm Hg

Explanation: Portal Pressure Normal Portal vein pressure: 5-10 mm Hg Variceal formation occurs when portal pressure is >10 mm Hg Variceal bleeding occurs when portal pressure is >12 mm Hg.